The right costo-phrenic recess extends up to the level of which rib in the mid-axillary line
1. 6th
2. 10th
3. 8th
4. 12th

Correct answer: 2. 10th

Explanation: B i.e. 10th